To diagnose prolonged latent phase in a nulliparous women, latent phase should be prolonged for
1. > 6 hours
2. > 10 hours
3. > 14 hours
4. > 20 hours

Correct answer: 4. > 20 hours

Explanation: ParityProlonged latent phaseNulliparous> 20 hoursMultiparous> 14 hoursReference: William's Obstetrics; 25th edition; Chapter 23; Abnormal Labor